Which of the following does NOT predispose to carpal tunnel syndrome -
1. Hypertension
2. Hypothyroidism
3. Pregnancy
4. Acromegaly

Correct answer: 1. Hypertension